True about posterior subcapsular cataract is -
1. Late loss of visual acuity
2. It is a mature senile cataract
3. Early loss of ability to see objects in bright sunlight
4. Glare is an uncommon symptom

Correct answer: 3. Early loss of ability to see objects in bright sunlight

Explanation: Posterior subcapsular cataract (cupuliform senile cortical cataract) is seen in incipient stage (not in mature cataract). There is early loss of vision, espacially in bright sunlight.